Vomiting on first day of birth is seen in all EXCEPT:
1. Esophageal atresia
2. Amniotic gastritis
3. Aerophagy
4. Pyloric stenosis

Correct answer: 4. Pyloric stenosis

Explanation: Pyloric stenosisREF: Schwartz 8th ed p. 1486 Pyloric stenosis most commonly presents with non bilious vomiting at 4th week after birth.